Good prognosis seen in which type of Hodgkin?
1. Lymphocytic predominance
2. Lymphocytic depletion
3. Nodular sclerosis
4. Classical

Correct answer: 1. Lymphocytic predominance

Explanation: ANSWER: (A) Lymphocytic predominanceREF: Harrisons 17th ed chapter 105"Lymphocyte predominance has survival rate > 80% and has best prognosis amongst all type of lymphomas"The treatment of patients with nodular lymphocyte-predominant Hodgkin's disease is controversial. Some clinicians favor no treatment and merely close follow-up. In the United States, most physicians will treat localized disease with radiotherapy and disseminated disease with regimens utilized for patients with classical Hodgkin's disease. Regardless of the therapy utilized, most series report a long-term survival of >80%.